Call-Exner bodies are seen in
1. Gynandroblastoma
2. Granulosa cell tumor
3. Sertoli-Leydig cell tumor
4. Fibroma

Correct answer: 2. Granulosa cell tumor

Explanation: Seen in granulosa cell tumorIn the most common variety, the adult granulosa cells show a tendency to arrange themselves in small clusters or rosettes around a central cavity, so there is a resemblance to primordial follicles (i.e., Call-Exner bodies)."Coffee bean" grooved nuclei are characteristic.Ref: Berek and Novak's Gynecology; 15th edition; Chapter 37